HE LLP syndrome includes -
1. Low platelet count
2. Low liver enzymes
3. Low leucocyte count
4. Low ESR

Correct answer: 1. Low platelet count

Explanation: Ans-ALow platelet count HELLP syndromeo It is an acronym for Haemolysis (H), Elevated liver enzyme (E) (AST & ALT>70IU/L, LDH > 600IU/L), Low platelet count (L) (<100000/mm3).o It is a rare complication of pre-eclampsia but may develop even without hypertension,o Manifested by nausea, vomiting, epigastric or right upper quadrant pain.